The volume in lungs at the time of full relaxation of lungs is
1. FRC
2. Tidal volume
3. Inspiratory reserve volume
4. Expiratory reserve volume

Correct answer: 1. FRC

Explanation: Functional residual capacity: Amount of air remaining in the lungs after a normal tidal expiration (RV + ERV). Around 2400 mlRef: Ganong review of medical physiology 23rd edition Page no: 593